Epiphora is:
1. Cerebrospinal fluid running from the nose after fracture of anterior cranial fossa
2. An epiphenomenon of a cerebral tumor
3. An abnormal overflow of tears due to obstruction of lacrimal duct
4. Eversion of lower eyelid following injury

Correct answer: 3. An abnormal overflow of tears due to obstruction of lacrimal duct

Explanation: Epiphora is defined as watering from the eye due to physiological causes such as pump failure or mechanical obstruction in lacrimal passage. Ref: Textbook of Ophthalmology By Nema, 3rd Edition, Page 304